The indication for the use of Kloehn type cervical head gear is in:
1. Maxillary retrusion
2. Maxillary protrusion
3. Mandibular prognathism
4. Mandibular retrognathism

Correct answer: 2. Maxillary protrusion